While doing pleural tapping in the mid-axillary line, which muscle is NOT pierced?
1. Internal intercostal
2. External intercostal
3. Innermost intercostal
4. Transversus thoracis

Correct answer: 4. Transversus thoracis

Explanation: The thoracocentesis or the pleural tap is done to remove the excess fluid from the pleural cavity. The needle passes in succession of the skin, fascia, serratus anterior, intercostal muscles, endothoracic fascia and the costal pleura before entering the pleural cavity. The Transversus thoracis (Sternocostalis) is situated upon the inner surface of the front wall of the chest. Thus it is not pierced by needle for pleural tapping in mid axillary line.